A child with Supracondylar fracture is unable to flex his interphalangeal joint of thumb. Which nerve is most likely injured ?
1. Median nerve
2. Deep branch of ulnar nerve
3. Posterior Interosseus nerve
4. Anterior Interosseus nerve

Correct answer: 4. Anterior Interosseus nerve

Explanation: Flexion at Interphalyngeal joint of thumb caused by FlexorPollicisLongus which us supplied by anterior Interosseus nerve a branch of median nerve . Anterior Interooseus nerve is the most commonly injured nerve in Supracondylar humerus fracture Refer : maheswari 9th ed